All are the risk factors for coronary artery disease except:
1. LDL
2. HDL
3. Smoking
4. Hypertension

Correct answer: 2. HDL

Explanation: Some important risk factors for Atherosclerosis: Fixed

Family history
Age
Sex (male) Modifiable
Smoking
Haemostatic variables
Hypertension
Sedentary life styles
Lipid disorders
Obesity
DM
Diet

Atherosclerotic vascular disease may manifest as coronary heart disease, cerebrovascular disease or peripheral vascular disease. Occult coronary artery disease is common in those who present with other forms of atherosclerotic vascular disease. So risk factors for atherosclerosis is also are the risk factors for CAD.